The egg which of the following parasites consist of polar filaments arising from either end of the ambrophore?
1. Taenia saginata
2. Taenia solium
3. Echinococcus granulosus
4. Hymenolepis nana

Correct answer: 4. Hymenolepis nana

Explanation: Ans. is 'd' i.e., H. nana . Egg of H. nana - Spherical or oval - Two distinct membrane, (a) outer membrane (b) inner embryophore - Polar filaments emanating from little knobs at either end of embryophore. - Floats in saturated solution of common salt.